which of the following is not the component of revised trauma score and injury severity score
1. systolic bp
2. diastolic bp
3. respiratory rate
4. GCS

Correct answer: 2. diastolic bp

Explanation: ref : bailey and love 27th ed